Thalidomide is used in -
1. Mutilple myeloma
2. Squamous cell carcinoma
3. Basal cell carcinoma
4. Masopharyngeal carcinoma

Correct answer: 1. Mutilple myeloma

Explanation: Ans. is 'a' i.e., Multiple myeloma Clinical uses of thalidomideo AIDS related aphthous ulcerso AIDS related wasting syndromeo Multiple myeloma and other solid tumourso Prevention of graft versus host disease after transplantationo Rheumatoid arthritiso Ankylosing spondylitiso Crohn's disease and Bechet's syndromeo Erythema Nodusum Leprosum